False positive veneral desease research laboratories (VDRL) test have been associated with all thefollowing except -
1. Narcotic addiction
2. Atypical pneumonias
3. Old age
4. Diabetes mellitus

Correct answer: 4. Diabetes mellitus